Most common dislocation of shoulder causing axillary nerve injury is -
1. Anterior dislocation
2. Posterior dislocation
3. Recurrent instability
4. Inferior dislocation

Correct answer: 1. Anterior dislocation

Explanation: Ans. is 'a' i.e., Anterior dislocation Complications of anterior dislocationi) Injury to the axillary (circumflex) nerve is the most common complication (5- 30%)ii) Occasionally other branches of brachial plexus are damaged especially the posterior cord.iii) Occasionally axillary artery may be damaged especially if the vessel is atheromatous or it may damage during attempted late reduction.iv) Associated fractures like greater tuberosity.v) Recurrent dislocation.